A patient presented with stridor and dyspnoea which he developed after an attack of upper respiratory tract infection. On examination he was found to have a 3-mm glottic opening. All of the following are used in the management except:
1. Tracheostomy
2. Arytenoidectomy
3. Teflon injection
4. Cordectomy

Correct answer: 3. Teflon injection

Explanation: Stridor and dyspnoea are the result of narrowed airway which would require widening. Choices (a), (b) and (d) will provide airway. Teflon injection is used to medialise the cord in vocal cord paralysis. It will further narrow the glottis.